Zollinger-Ellison syndrome is due to tumor of the -
1. α cells
2. β cells
3. PP cells
4. G-cells

Correct answer: 4. G-cells